The deep cerebellar nuclei have their effect on other brain centers by
1. Comparison of inhibitory effects by Purkinje cells and excitatory effects of afferent collateral axons
2. Summation of mossy fibers and climbing fibers synapsing on deep cerebellar nuclei
3. Temporal synaptic effects of granular and parallel fiber input
4. Excitatory Purkinje influences and inhibitory granule cell input

Correct answer: 1. Comparison of inhibitory effects by Purkinje cells and excitatory effects of afferent collateral axons

Explanation: All input to the cortex of the cerebellum collateralizes and sends axon branches to both the cortex and the deep cerebellar nuclei. The activity of the deep cerebellar nuclei depends on the integrated response of the direct excitatory input from the collaterals and the inhibitory influence of the Purkinje cells of the cerebellar cortex.